Most common enzyme deficiency among these which leads to childhood hypertension:
1. 21 hydroxylase deficiency
2. 11-beta hydroxylase deficiency
3. 3-beta hydroxysteroid dehydrogenase deficiency
4. 17-alpha hydroxylase deficiency

Correct answer: 2. 11-beta hydroxylase deficiency

Explanation: Ans. B. 11-beta hydroxylase deficiencyChildhood hypertension and salt retention are seen in children with 11-beta hydroxylase deficiency and 17-alpha hydroxylase deficiency. The second most common cause of CAH (after 21 hydroxylase deficiency) is 11-beta hydroxylase deficiency.